Basal cell carcinoma spreads by -
1. Lymphatics
2. Haematogenous
3. Direct spread
4. None of the above

Correct answer: 3. Direct spread